All the following agents may be used in the treatment of Aortic dissection , except
1. Propranolol
2. Diazoxide
3. Na nitroprusside
4. Labetalol

Correct answer: 2. Diazoxide

Explanation: Ref Harrison 19 th ed pg 1641 For acute dissection, unless contraindicated, b-adrenergic blockers should be administered par- enterally, using intravenous propranolol, metoprolol, or the short- acting esmolol to achieve a heart rate of approximately 60 beats/ min. This should be accompanied by sodium nitroprusside infusion to lower systolic blood pressure to <=120 mmHg. Labetalol a drug with both b- and a-adrenergic blocking properties, also may be used as a parenteral agent in acute therapy for dissection.